All are seen in psoriasis except
1. Acanthosis
2. Koebner phenomenon
3. Auspitz sign
4. Civatte bodies

Correct answer: 4. Civatte bodies

Explanation: Civatte bodies ( apoptotic bodies derived from keratinocytes at dermal-epidermal junction) are seen in lichen planus. Acanthosis (epidermal skin thickening), Auspitz's sign (Scaling that bleeds when removed), Koebner's phenomenon (new lesions at sight of minor injury) are seen in psoriasis. Koebner's phenomenon also seen in True Koebner response Psoriasis Vitiligo Halo naevus Lichen planus Pseudo-Koebner response (characterised by the appearance of similar skin lesions at the site of injury in infective lesions) Molluscum contagiosum Pyoderma gangrenosum Warts Ref Harrison 20th edition pg 1123